T cell functions are assessed by -
1. phagocyte index
2. T cell count
3. Migration inhibition test
4. Immunoglobin index

Correct answer: 3. Migration inhibition test

Explanation: Migration inhibitory factor test an in vitro test for the production of migration inhibitory factor (MIF) by lymphocytes in response to specific antigens; used for evaluation of cell-mediated immunity. MIF production is absent in certain immunodeficiency disorders, such as wiskott-aldrich syndrome and hodgkin's disease. Called also MIF test. Reff: www.mayoclinic.com